In which of the following infections strawberry vagina is seen:
1. Candidiasis
2. Trichomoniasis
3. Gonococcal infection
4. Chlamydial infection

Correct answer: 2. Trichomoniasis

Explanation: Ans: b (Trichomoniasis) Ref: Shaw, 13th ed,p. 125 In Trichomoniasis there are often multiple small punctate suawberry spots on the vaginal vault and portio vaginalis of the cervix (strawberry vagina). Most common cause of vaginitis in child batring age group--trichomoniasis Trichomoniasis Trichomonas vaginalis STD-male harbours the organism in urethra and prostate Vaginal pH raised 5.5 - 6.5 Yellow to green frothy fowl smelling discharge Vulvurpruritis Dysuria Strawberry spots on vagina and cervix Culture medium - Kupferberg's or Feinberg medium